Not a cause of acute anal pain is:
1. Perianal abscess
2. Thrombosed hemorrhoids
3. Acute anal fissure
4. Fistual in ano

Correct answer: 4. Fistual in ano